. Most common cause of Carcinomatous meningitis -
1. Carcinoma breast
2. Carcinoma lung
3. Carcinoma gut
4. Malignant melanoma

Correct answer: 1. Carcinoma breast

Explanation: Answer- A. Carcinoma breastCarcinoma breast in the most common cause of carcinomatous meningites.